Pralidoxime is not useful in poisoning with:
1. Edrophonium
2. Malathion
3. Parathion
4. DFP

Correct answer: 1. Edrophonium

Explanation: A i.e. Edrophonium Cholinesterase re-activators as pralidoxime (PAM) is ineffective as antidote to anti-cholinesterase poisoning with carbamates as - Physo / Pyrido /Neo - stigmine, Ambenonium & EdrophoniumQ.